Which of the following factors is not an important risk factor for tubal ectopic?
1. A history of tubal surgery
2. Intrauterine device (IUD) use
3. In utero diethylstilbestrol (DES) exposure
4. History of pelvic inflammatory disease

Correct answer: 2. Intrauterine device (IUD) use

Explanation: Ectopic pregnancy results from various factors that interrupt the successful migration of the conceptus to the endometrium. The most important risk factors for ectopic pregnancy are history of tubal surgery, including tubal ligation, for prior ectopic pregnancy, infertility history of prior ectopic: increases risk 5 folds in utero diethylstilbestrol (DES) exposure: causes congenital fallopian tube anomalies history of pelvic inflammatory disease, sexually transmitted disease peritubal adhesions: secondary to salpingitis, endometriosis, appendicitis SIN: salpingitis isthmica nodosa infertility: use of ART: increases risk of atypical/ non tubal ectopic failed contraception: IUCD, sterilisation, progesterone only contraceptives. PLEASE NOTE IT IS FAILURE OF THESE CONTRACEPTIVE PRACTICES, AND NOT THE CONTRACEPTIVE PRACTICE IN ITSELF Intrauterine device (IUD) use are associated with reduce pregnancies and reduced ectopic rates, however, if there is a failure of the IUD and a pregnancy results, ectopic gestation is more likely as compared to normal population conceiving These are not very clear relations. Many other risk factors, including smoking and multiple lifetime sexual partners, are weakly associated with ectopic pregnancy .